Endometrial sampling for abnormal uterine bleeding is done if all except
1. Aged > 45 years
2. Irregular menstrual bleeding
3. Failed medical therapy
4. Multiple sexual partners

Correct answer: 4. Multiple sexual partners

Explanation: Multiple sexual partners is not an indication for endometrial sampling in abnormal uterine bleeding.